A 24-year-old man is brought into the emergency department after a fall from a ladder. His breathing is labored and he is cyanotic. No breath sounds can be heard, even in the right lung field, which is resonant to percussion. The first step in his management should be
1. Cricothyroidotomy
2. Obtaining a stat chest x-ray
3. Passing an oral endotracheal tube
4. Tube thoracostomy

Correct answer: 4. Tube thoracostomy

Explanation: This patient has a tension pneumothorax and immediate management by right tube thoracostomy is imperative. This diagnosis is a clinical one and treatment should not await x-ray confirmation.